A dimensionally accurate reproduction of a part of the oral cavity or extraoral facial structures that is produced in a durable hard material?
1. Model
2. Die
3. Cast
4. impression

Correct answer: 3. Cast

Explanation: Cast-Positive dimensionally accurate replica of a part of oral cavity or extraoral facial structures in a durable hard dental material
Model-Positive replica of teeth, soft tissues, and related structures can be used for the construction of orthodontic and prosthetic appliances and mostly used as a diagnostic aid/display purpose/patient education
Die-Positive dimensionally accurate replica of prepared tooth